Increased anion gap is seen in:
1. Enterocutaneous fistula
2. Illeostomy fistula
3. Lactic acidosis
4. All

Correct answer: 3. Lactic acidosis

Explanation: C i.e. Lactic acidosis